Most posterior structure seen in root of lung is
1. Bronchus
2. Superior pulmonary vein
3. Inferior pulmonary vein
4. Pulmonary artery

Correct answer: 1. Bronchus

Explanation: Most posterior structure in the root of the lung is bronchus B D CHAURASIA'S HUMAN ANATOMY UPPER LIMB THORAX-VOLUME1 SIXTH EDITION Page no-237